Among the natural radiation, the one that contributes to
more radiation exposure of general population
1. Cosmic
2. Terrestrial
3. Radon
4. Consumer products

Correct answer: 3. Radon

Explanation: The general population is exposed to radiation primarily from natural background and medical sources.
Radon and its decay products may become attached to dust particles that can be inhaled and deposited on the bronchial epithelium in the respiratory tract. Radon is estimated to be responsible for approximately 73% of the background exposure of the world’s population. 
Key Concept